Treatment of Simple cyst of liver:
1. Percutaneous drainage
2. Cysto enterostomy
3. Deroofing
4. Aspiration

Correct answer: 3. Deroofing

Explanation: Ans. (c) De roofingRef: Sabiston Page 1469/ 20th edition* Simple cysts of the liver contain serous fluid, do not communicate with the biliary tree, and do not have septations.* 50% are single, Cuboidal/columnar epithelium as single layer is the lining.* They are regarded as Congenital Malformationa.* Spherical, Ovoid shape and can be large as 20cm* They can compress liver, regional atrophy and contralateral Hypertrophy.* IOC is USG* MC complication is Intracystic Bleeding.* Asymptomatic cysts no treatment needed.* Symptomatic cysts need Aspiration and injection of sclerosant.* Laparoscopic fenestration (Deroofing) is preferred treatment.